Precocious puberty in girls is defined by the onset of secondary sexual characteristics before the age of:
1. 5 years
2. 7 years
3. 8 years
4. 9 years

Correct answer: 3. 8 years

Explanation: c. 8 years(Ref: Nelson's 20/e p 2656)Precocious puberty is defined by the onset of secondary sexual characteristics before the age of 8 yr in girls and 9 yr in boys.